A 3-6 cm scalp defect is closed by:-
1. Primary simple closure
2. Split skin grafting
3. Secondary closure
4. Local flaps

Correct answer: 4. Local flaps

Explanation: Flap: Partially or complete isolated segment of the tissue with its own blood supply Absolute indications for flaps- -exposed bone -radiated vessel -exposed brain -open joint or non- biological implant materials -pressure sores at bony prominences